Autoimmunity can be caused due to all of the all following except -
1. The pressure of forbidden clones
2. Expression of cryptic antigens
3. Negative selection of T-cells in the thymus
4. Inappropriate expression of the MHC proteins

Correct answer: 3. Negative selection of T-cells in the thymus

Explanation: Altered T or B cell function also contribute to autoimmunity. Enhanced helper T cell and decreased suppressor T cell functions have been suggested as cause of immunity. - defect in the tymus, in stem cell development and macrophage function have also been postulated as causes. Reference: Anathanarayan & paniker's 9th edition, pg no: 179